A 25 year old man has muscle blood flow of 500ml/min. He has mean arterial pressure of 160mmHg and mean venous pressure of 10mmHg of muscle. Calculate vascular resistance of the muscle of this man.
1. 0.3 mmHg/ml/min
2. 0.5 mmHg/ml/min
3. 0.8 mmHg/ml/min
4. 1 mmHg/ml/min

Correct answer: 1. 0.3 mmHg/ml/min